Increased amylase levels in pleural fluid are seen in ?
1. Malignancy
2. Pancreatitis
3. Oesophageal rupture
4. All

Correct answer: 4. All

Explanation: Ans. is 'd' i.e., All